If circumflex artery gives the posterior interventricular branch, this circulation is described
1. Right dominance
2. Left dominance
3. Codominance
4. Undetermined

Correct answer: 2. Left dominance

Explanation: In about 10% of hearts, the right coronary is rather small and is not able to give the posterior interventricular branch.
In these cases the circumflex artery, the continuation of left provides the posterior interventricular branch and called left dominant.